Sentinel loop on x-ray:
1. Meckel's diverticulum
2. Acute cholecystitis
3. Acute mesenteric adenitis
4. Acute pancreatitis

Correct answer: 4. Acute pancreatitis

Explanation: Ans. (d) Acute pancreatitisRef: Bailey 26th ed. /1128-29* The most commonly recognized radiologic signs associated with acute pancreatitis include the following:# Air in the duodenal C-loop# The sentinel loop sign, which represents a focal dilated proximal jejunal loop in the left upper quadrant.# The colon cut-off sign, which represents distention of the colon to the transverse colon with a paucity of gas distal to the splenic flexure.